Papillomavirus has been found in all of the following lesions except _____.
1. Oral papillomas
2. Verruca vulgaris of the oral mucosa
3. Condyloma acuminatum
4. Condyloma latum

Correct answer: 4. Condyloma latum

Explanation: Condyloma latum is one of the lesions that may be seen in secondary syphilis, which is caused by Treponema pallidum. All the other lesions listed may be associated with human papillomavirus.